Anti thyroglobulin antibodies seen in
1. Hashimoto thyroiditis
2. Graves disease
3. De quervain thyroiditis
4. Subacute lymphocytic thyroiditis

Correct answer: 1. Hashimoto thyroiditis

Explanation: Ans. is 'a' i.e., Hashimoto thyroiditis